Localisation of parathyroids in hyperparathyroidism is done best with
1. X ray neck
2. USG neck
3. I131 scan
4. Technetium 99 labelled sestamibi scan

Correct answer: 4. Technetium 99 labelled sestamibi scan